An elderly female is diagnosed to have Ca cervix stage III B. What is the management of choice in this patient?
1. Wertheims hysterectomy
2. Shautas procedure
3. Chemotherapy
4. Intracavitary brachytherapy with external beam radiation

Correct answer: 4. Intracavitary brachytherapy with external beam radiation

Explanation: In stage IIIB cervical carcinoma the cancer has extended beyond ther cervix to the pelvic wall with/ without causing hydronephrosis. Cervical carcinoma of stage IIB to IVA is considered to be advanced stage cervical cancer. Current evidence states that chemotherapy given along with radiation therapy significantly improves the outcome in such cases. Of the chemotherapeutic agents used, cisplatin is associated with better survival rates.